True about indirect inguinal hernia
1. It travels through both superficial and deep inguinal ring
2. It travels through deep inguinal ring only
3. It travels through superficial inguinal ring only
4. It occurs through Hesselbach's triangle

Correct answer: 1. It travels through both superficial and deep inguinal ring

Explanation: Ans. (a) It travels through bothRef: Bailey and Love 26th/e p. 594* Indirect hernia: Enters Deep ring and travels in canal and comes out via superficial ring* Direct hernia: Enters Hesselbach triangle and comes out via superficial ring* Femoral hernia: Enters Femoral ring and travels femoral canal and comes out via the saphenous opening